Secondary attack rate (SAR) denominator includes
1. Population
2. Primary case
3. Exposed susceptible contacts
4. Person developing symptoms

Correct answer: 3. Exposed susceptible contacts